The labia minora arises embryologically from which of the following structures?
1. Phallus
2. Labioscrotal swellings
3. Sinovaginal bulbs
4. Urogenital folds

Correct answer: 4. Urogenital folds

Explanation: In the female, the urogenital folds remain unfused and form the labia minora. Embryological structure Genital derivatives Labio scrotal swelling labio majora and scrotum Genital ridge testis , ovary Urogenital folds labia minora Urogenital sinus urinary bladder, urethra And lower part of vagina.